Occlusion of the ant descending branch of LAD will lead to infarction of which area?
1. Posterior part of the interventricular septum
2. Anterior wall of the left ventricle
3. Lateral part of the heart
4. Inferior surface of right ventricle

Correct answer: 2. Anterior wall of the left ventricle

Explanation: B i.e. Anterior wall of left ventricle